Pontic design not indicated in the anterior region is:
1. Spheroidal pontic
2. Ovate pontic.
3. Modified Ridge lap pontic.
4. None.

Correct answer: 1. Spheroidal pontic